The following drugs can cause eosinophilic pneumonia except-
1. Nitrofurantoin
2. Amiodarone
3. Sulfonamides
4. Non-steroidal anti-inflammatory drugs (NSAIDS)

Correct answer: 2. Amiodarone

Explanation: Eosinophilic pneumonia can be caused by drugs like nitrofurantoin,Para-aminosalicylic acid,sulfasalazine,imipramine,chlorpropamide,phenylbutazone.It can also be caused by helminths like Ascaris,Toxocara,Filaria & fungi like Aspergillus fumigatus.Eosinophilic pneumonia is characterised by pulmonary infiltrates and peripheral eosinophilia. Reference:Davidson's Medicine-22nd edition,page no:713.